Wernicke's area lesion causes?
1. Fluency, meaningful
2. Fluency, meaningless
3. Non fluent, meaningful
4. Non fluent, meaningless

Correct answer: 2. Fluency, meaningless

Explanation: *Although speech sounds grammatical, melodic, and effortless (fluent), it is virtually incomprehensible due to errors in word usage, structure, and tense and the pres-ence of paraphasic errors and neologisms ("jargon"). Comprehension of written and spoken material is severely impaired, as are reading, writing, and repetition. The pt usually seems unaware of the deficit and is not frustrated. Reference Harrison20th edition pg 2756